Skeletal muscle relaxant of choke in liver and renal disease is?
1. Atracurium
2. Mivacurium
3. Gallium
4. Vecuronium

Correct answer: 1. Atracurium